Regarding stones in gall bladder the following are true except -
1. Mixed stones are common in the west
2. In Saints Triad diverticulosis of colon and hiatus hernia coexist
3. Is a risk factor in the development of GB carcinoma
4. 90% of GB stones are radioopaque

Correct answer: 4. 90% of GB stones are radioopaque